Convulsions are commonly precipitated in terminal renal failure by:
1. Hyperkalemia
2. Hypokalemia
3. Water intoxication
4. Hypermagnesemia

Correct answer: 3. Water intoxication

Explanation: In setting of terminal renal failure, the volume overload in combination with damage to blood brain barrier leads to cerebral edema which leads to seizures. The problem will be compounded by hypertensive state that leads to increase cerebral flow and resultant worsening of cerebral edema.